Which type of blinding is when both Subject as well as Investigator are not aware of treatment being given
1. Single blinding
2. Double blinding
3. Triple blinding
4. No blinding

Correct answer: 2. Double blinding

Explanation: BLINDING IN EPIDEMIOLOGY Single blinding: Subject is not aware of treatment being given Double blinding: Subject & Investigator are not aware of treatment being given (MC) Triple blinding: Subject, Investigator & Analyzer are not aware of treatment being given (Best) No blinding done in the Open trail or study